Not an objective of national mental health programme:
1. Ensure availability and accessibility of minimum mental health care for all
2. Using modern technologies in hospitals
3. Encourage application of mental health knowledge in general health care
4. Community participation

Correct answer: 2. Using modern technologies in hospitals

Explanation: Ans. B: Using modern technologies in hospitals The Objectives of the national mental health programme are: To ensure availability and accessibility of minimum mental health care for all in the foreseeable future, particularly to the most vulnerable and underprivileged sections of population; To encourage application of mental health knowledge in general health care and in social development; To promote community participation in the mental health services development and to stimulate efforts towards self-help in the community. National Mental Health Programme The Government of India has launched the National Mental Health Programme (NMHP) in 1982, keeping in view the heavy burden of mental illness in the community, and the absolute inadequacy of mental health care infrastructure in the country to deal with it. Aims - Prevention and treatment of mental and neurological disorders and their associated disabilities. - Use of mental health technology to improve general health services. - Application of mental health principles in total national development to improve quality of life. Objectives - To ensure availability and accessibility of minimum mental health care for all in the foreseeable future, particularly to the most vulnerable and underprivileged sections of population. - To encourage application of mental health knowledge in general health care and in social development. - To promote community participation in the mental health services development and to stimulate efforts towards self-help in the community. Strategies - Integration mental health with primary health care through the NMHP; - Provision of tertiary care institutions for treatment of mental disorders; - Eradicating stigmatisation of mentally ill patients and protecting their rights through regulatory institutions like the Central Mental Health Authority, and State Mental health Authority. Mental Health care - The mental morbidity requires priority in mental health treatment - Primary health care at village and subcenter level At Primary Health Center level - At the District Hospital level Mental Hospital and teaching Psychiatric Units District Mental Health Programme Components Training programmes of all workers in the mental health team at the identified Nodal Institute in the State. Public education in the mental health to increase awareness and reduce stigma. For early detection and treatment, the OPD and indoor services are provided. Providing valuable data and experience at the level of community to the state and Center for future planning, improvement in service and research.